Most common cause of gas gangrene ?
1. Cl welchii
2. Cl septicum
3. Cl novyi
4. Cl histolyticum

Correct answer: 1. Cl welchii

Explanation: Ans. is 'a' i.e., CI welchii Most common cause of gas gangrene is Cl perfringens (Cl welchii) causing 80% of cases of gas gangrene. Other causes are Cl septicum, Cl novyi and Cl histolyticum.